Which of the following is the FAD-linked dehydrogenase of TCA cycle?
1. Isocitrate dehydrogenase
2. Malate dehydrogenase
3. Succinate dehydrogenase
4. a ketoglutarate dehydrogenase

Correct answer: 3. Succinate dehydrogenase

Explanation: Ans. c)Succinate dehydrogenase is the only 1 FAD-linked dehydrogenase in TCA cycle